Methyl dopa is useful in treatment of -
1. Pregnancy induced hypertension
2. Parkinsonism
3. Hirsuitism
4. Fever

Correct answer: 1. Pregnancy induced hypertension

Explanation: Ans. is 'a' i.e., Pregnancy induced hypertension Methyl dopa is the DOC for pregnancy induced hypertension.